Lardaceous spleen is due to deposition of amyloid in:
1. Sinusoids of red pulp
2. White pulp
3. Pencillary artery
4. Splenic trabeculae

Correct answer: 1. Sinusoids of red pulp

Explanation: Amyloidosis of the spleen may be inapparent grossly or may cause moderate to marked splenomegaly (up to 800 g). Two patterns of deposition is seen:- The deposits limited to the splenic follicles, producing tapioca-like granules on gross inspection, designated sago spleen. The deposits involves the red pulp,Fusion of the early deposits gives rise to large, maplike areas of amyloidosis, creating what has been designated lardaceous spleen.